Vaginal changes in normal pregnancy show
1. High pH
2. Increased lactobacilli
3. Increased anaerobic bacteria
4. Decrease in glycogen contents

Correct answer: 2. Increased lactobacilli

Explanation: Early in pregnancy the vaginal epithelial cells are similar to those found during the luteal phase, As pregnancy advances, two pattern of response may be seen 1. Small intermediate cells called navicular cells by Papanicolaou, are found in abundance in small, dense clusters 2. Vesicular nuclei without cytoplasm or so called naked nuclei, are evident along with an abundance of lactobacillus 3. **pH is acidic, varying from 3.5-6, the result of increased production of lactic acid from glycogen in the vaginal epithelium by the action of lactobacillus acidophilus